Bird shot retinopathy is characterised by all except
1. Common in females
2. Unilateral
3. HLA 29 positive
4. Creamy yellow spots

Correct answer: 2. Unilateral

Explanation: Birdshot chorioretinopathy, also known as birdshot uveitis, birdshot retinopathy, or HLA-A29 uveitis, is an uncommon chronic posterior uveitis characterized by vitritis and multiple ovoid spots, which are orange to cream in color and hypopigmented Ref AK khurana 6/e p 280